Sexual masochism is?
1. Sexual gratification obtained by the suffering of pain
2. Painful penile erection in absence of sexual desire
3. Sexual gratification is obtained by infliction of pain
4. None of the above

Correct answer: 1. Sexual gratification obtained by the suffering of pain

Explanation: Ans. is 'a' i.e. Sexual gratification obtained by the suffering of pain o Sexual gratification is obtained or increased by the suffering of pain - Masochismo Sexual gratification is obtained or increased from acts of physcial cruelty or infliction of pain on one's partner - Sadism.o Painful penile erection in absence of sexual desire - Priapism .